On X-ray chest PA view, the anterior surface of the heart is formed by:
1. Right ventricle
2. Left ventricle
3. Right atrium
4. Left atrium

Correct answer: 1. Right ventricle

Explanation: The Right ventricle forms the front of the heart with a contribution at its upper part from the Right atrial appendage.